Spherocytes are not seen in:
1. Splenectomy
2. Plasmodium falciparum
3. Hereditary spherocytosis
4. Autoimmune haemolytic anaemia

Correct answer: 2. Plasmodium falciparum

Explanation: Ans: b (Plasmodium falciparum) Ref: Hairison, ed, p. 608Spherocytes are not seen in Plasmodium falciparum infectionConditions in which Spherocytes are seenAutoimmune haemolysisHereditary spherocytosisPost splenectomyDisseminated intravascular coagulationClostridium Welchii septicaemiaBumsBasophilic stipplingLead poisoning5' nucleotidase (maximum)ThalassaemiaMyelodysplasiaAplastic anaemiaTarget cellsLiver diseasePost splenectomyThalassaemiaHb C diseaseAcanthocytosisChronic liver diseaseBurr cellsUraemiaHowell - Jolly bodiesMegaloblastic anaemiaPost splenectomyStomatocytesAlcoholism Note:Smudge cells- Chronic lymphatic leukaemiaFlame cells- Multiple myelomaFlower cells- Adult T cell lymphomaFaggot cells- AML M, (promyelocytic leukaemia)Tear drop cells- MyelofibrosisHallmark cells- Anaplastic large cell lymphomaSea blue histiocytes- CML